In which of the following poisons, injuries are not present at the portal of entry but with considerable systemic involvement during autopsy?
1. Corrosives
2. Chlorine
3. Nitrobenzene
4. Sulphur dioxide

Correct answer: 3. Nitrobenzene

Explanation: Poisons producing systemic lesions without injury at the portal of entry: Acute haemolytic poisons (Arsine, Nitrobenzene) Poisons producing leisons at portal of entry without systemic injuries: corrosives, chlorine, sulphur dioxide. Poisons producing both local and systemic injuries heavy metals